Which of the following is a date rape drug
1. flunitrazepam
2. Buprenorphine
3. Clonidine
4. methadone

Correct answer: 1. flunitrazepam

Explanation: flunitrazepam , MDMA, gamma hydroxy Butyrate are called as date rape drugs Date rape drugs are any type of drug used to make assault easier. Ref.Kaplon and Sadock, synopsis of psychiatry, 11 th edition, 648